A 22 year old lady died. The postmoum appearance that will indicate that she has had delivered a child are all, except :
1. Walls of uterus are convex from inside.
2. Cervix is irregular and external os is patulous
3. Body of uterus is twice the length of cervix.
4. Uterus is bulky, large and heavy than nullipara

Correct answer: 1. Walls of uterus are convex from inside.

Explanation: A i.e. Walls of uterus are convex from inside Walls are concave from inside forming a wide & rounded uterine cavity in parous uterus; while the walls of nulliparous uterus are convex on inner side.Q